"3 by 5" initiative in AIDS control programme is
1. Providing 3 million people treatment by end of 2005
2. Providing treatment to 3 out of 5 patients
3. Reducing incidence of AIDS by 3% by 2005
4. All of the above

Correct answer: 1. Providing 3 million people treatment by end of 2005

Explanation: Providing A to 3 million people by 2005. Reference: Park's textbook of preventive and social medicine, K.Park,23rd edition